Treatment of choice in choledochal cyst:-
1. Roux-en-Y hepaticojejunostomy
2. Cystojejunostomy
3. Choledochoduodenostomy
4. Choledochojejunostomy

Correct answer: 1. Roux-en-Y hepaticojejunostomy

Explanation: Treatment of Choledochal Cyst Type I Roux-en-Y hepaticojejunostomy Type II Excision with T-tube repair Roux-en-Y hepaticojejunostomy Type III Endoscopic sphincterotomy and cyst unroofing Type IV A Hepatic resection for localized disease Liver transplantation for diffuse disease Type IV B Transduodenalsphincteroplasty and Roux-en-Y hepaticojejunostomy Type V Hepatic resection for localized disease Liver transplantation for diffuse disease